Gall bladder adenocarcinoma is only involving lamina propria. What is the  preferred treatment
1. Simple cholecystectomy
2. Radical cholecystectomy
3. Chemotherapy alone
4. Radiotherapy

Correct answer: 1. Simple cholecystectomy

Explanation: Only invading lamina propria is T1a stage -simple cholecystectomy.